Beta blockers are not indicated in ?
1. Acute CHF
2. Hypertension
3. Chronic CHF
4. Arrhythmia

Correct answer: 1. Acute CHF

Explanation: Ans. is 'a' i.e., Actue CHF b -blckers are contraindicated in acute decompensated heart failure.